After tonsillectomy, secondary haemorrhage occurs
1. Within 24 hours
2. After 2 weeks
3. 5-10 post operative days
4. After a month

Correct answer: 3. 5-10 post operative days

Explanation: After tonsillectomy primary haemorrhage occurs during surgery reactionary bleeding with in 24 hrs, secondary haemorrhage between 5-10 days Secondary haemorrhage is the result of sepsis and premature separation of the membrane Simple measures like removal of clots, application of adrenaline or hydrogen peroxide usually suffice. For profuse bleeding, electrocoagulation is done Re: Textbook of Ear, Nose and Throat, Dhingra, 6th Edition; Pg no: 430